Hallucination of worms crawling over the body occurs in:
1. Cocaine
2. Morphine
3. Cannabis
4. LSD

Correct answer: 1. Cocaine

Explanation: Ans: a (Cocaine) Ref: Reddy, 27th ed, p. 535Hallucination of worms crawling over the body occurs in cocaine poisoning - Magnan symptoms.Tactile hallucination -Delerium tremens.Amphetamine poisoning.Chronic cocaine poisoning.Atropine overdose.Lilliputian hallucination -Acute cocaine poisoning.Delirium tremens.